Burst Fracture of spine is a -
1. Compression Fracture
2. Extension injury
3. Direct injury
4. Flexion - rotation

Correct answer: 1. Compression Fracture

Explanation: Burst fracture (crushed communited fracture) is caused by axial (vertical) compression injury.